Aneurysm of anterior Cerebral circulation is associated with
1. Autosomal dominant PCKD
2. Autosomal recessive PCKD
3. Infantile polycystic kidney disease
4. Medullary cystic kidney disease

Correct answer: 1. Autosomal dominant PCKD

Explanation: Saccular Aneurysm of anterior Cerebral circulation, Valvular abnormalities are seen in Autosomal dominant PCKD.